Most of the afferents from lateral geniculate body terminate in which layer of the visual cortex
1. Layer 1
2. Layers 2 & 3
3. Layer 4
4. Layers 5 & 6

Correct answer: 3. Layer 4

Explanation: LCB send information to layer 4 of the visual cortex Ref: Ganong 25th ed/page 179